a known case of COPD with acute exacerbation of copd is managed in icu following is not true ?
1. NIV is not indicated
2. o2 inhalation
3. salbutamol inhalation
4. iv dexamethasone

Correct answer: 1. NIV is not indicated

Explanation: Role of NIV in Treating Acute COPD * Preferred therapy for exacerbations of COPD in the acute setting Respiratory acidosis: * PaCO2?_ 45 mmHg (6.0 kPa) * Arterial pH 7.35 * Improves oxygenation, increases pH, and decreases PaCO2 * Decreases respiratory rate, work of breathing (can help overcome auto-PEEP), and severity of breathlessness - Success rates up to 85% ref : willey 10th ed